Sin needle used to kill animals made of :
1. Dhatura seeds
2. Rati seeds
3. Lead peroxide
4. Arsenic

Correct answer: 2. Rati seeds

Explanation: B i.e. Rati seeds